Which of the following Antimicrobials has antipseudomonal action -
1. Cefopodoxime proxetil
2. Ceforanide
3. Cefotetan
4. Cefoperazone

Correct answer: 4. Cefoperazone

Explanation: Ans. is 'd' i.e., Cefoperazone